Which of the following is used as control in plasma sterilization:
1. B. Subtilis
2. B. Stearothermophilus
3. Cl. Tetani
4. Cl. Perfringens

Correct answer: 2. B. Stearothermophilus

Explanation: Ans. B. B stearothermophilusBiological Monitors:Steam: Geobacillus stearothermophilusDry heat: B. atrophaeus (formerly B. subtilis)ETO: B. atrophaeus, (formerly B. subtilis)Ionizing radiation: bacillus pumilisNew low temperature sterilization technologiesPlasma sterilization: Bacillus, stearothermophilusPeracetic acid: G. Stearothermophilus